Before puberty, what is the ratio between the cervical length and uterine body:
1. 1:02
2. 2:01
3. 1:03
4. 1:04

Correct answer: 2. 2:01

Explanation: Ans. B i.e. 2:1 The relationship in the length of the cervix and that of the body of the uterus varies with age. Before puberty, the cervix to corpus ratio is 2:1. At puberty this ratio is reversed to 2:1 and during the reproductive years, cervix to corpus ratio may be 1:3 or even 1:4